Oculomoter nerve palsy affects all of the following muscles, except:
1. Medial rectus
2. Inferior oblique
3. Lateral rectus
4. Levator palpebrae superioris

Correct answer: 3. Lateral rectus

Explanation: Oculomotor nerve palsy does not affect lateral rectus. Ref: Neuroscience in Medicine By P. Michael Conn, 2008, Page 556